Which form of DNA is predominantly seen
1. B DNA
2. C DNA
3. A DNA
4. Z DNA

Correct answer: 1. B DNA

Explanation: Most common form.Right handed double helix.Highly flexible.Watson and Crick model describes the B- form of DNA.